Mandibular nerve does not supply:?
1. Buccinator
2. Masseter
3. Tensor tympani
4. Temporalis

Correct answer: 1. Buccinator

Explanation: A. i.e. Buccinator